Which of the following is true about the child-women ratio -
1. 0-4 years of children and 15-45 years of unmarried women
2. 0-5 years of children and 15-49 years of age of married women
3. 0-4 year of children and 15-44 years of all women
4. 0-4 years of children and 20-30 years of unmarried women

Correct answer: 3. 0-4 year of children and 15-44 years of all women

Explanation: Child-woman ratio- This ratio, the CWR, the ratio of children under 5 per 1000 women of reproductive age. It is usually calculated by dividing the number of children in the age group 0-4 (of both sexes) by the number of women of reproductive age (15-49 years), and then multiplying by 1000. Ref: